A 7 year old child is has a hypo pigmented anesthetic patch on his face. What is the most probable diagnosis?
1. Intermediate leprosy
2. Pityriasis alba
3. Nevus anemicus
4. Nevus achromicus

Correct answer: 1. Intermediate leprosy

Explanation: Hypopigmented anaesthetic patch in a child, who is coming from endemic zone of Leprosy, can be leprosy. Here the option provided is intermediate leprosy. Higher incidence of leprosy is seen in Assam, West Bengal, Bihar, Orissa, Madhya Pradesh, Madras, Andhra, and Kerala. In intermediate or dimorphous leprosy, the lesions are slow growing, indeterminate, partly anaesthetic macules and sometimes with satellite lesions. Later lesions resemble those of tuberculoid or lepramoatous leprosy or both. Peripheral nerves are involved early and severely. Pityriasis alba is a form of atopic dermatitis. It presents as ill-defined, hypopigmented, round patches on the face, neck, and trunk. Nevus anemicus is a congenital vascular anomaly that appears as a permanently pale, mottled lesion that occurs most often on the trunk. The lesions appear hypopigmented but contain normal amounts of pigment. Nevus achromicus or depigmentosus is a hypopigmented patch occurring as long linear streaks or as well circumscribed isolated patches. Affected areas are usually unilateral and may be small.